Pituitary adenoma is seen in:
1. MEN2A
2. MEN 2B
3. MEN 3
4. MEN 4

Correct answer: 4. MEN 4

Explanation: Pituitary adenoma is seen with: MEN 1 MEN 4 Carney Complex MEN 4: CDKN1B gene on Ch 12p13 Clinical features: Hyperparathyroidism Pituitary adenomas